Cholesterol from the liver is transported to the tissue mainly by
1. HDL
2. LDL
3. VLDL
4. Chylomicrons

Correct answer: 2. LDL

Explanation: LOW DENSITY LIPOPROTEINS (LDL) - LDL transports cholesterol from liver to peripheral tissues. The only apoprotein present in LDL is apo B100. Most of the LDL particles are derived from VLDL, but a small part is directly released from liver. The half-life of LDL in blood is about 2 days. Function of LDL - About 75% of the plasma cholesterol is incorporated into the LDL particles. LDL transports cholesterol from liver to the peripheral tissues. The cholesterol thus liberated in the cell has three major fates: It is used for the synthesis of other steroids like steroid hormones. Cholesterol may be incorporated into the membranes. Cholesterol may be esterified to a MUFA by acyl cholesterol acyl transferase (ACAT) for storage. The cellular content of cholesterol regulates further endogenous synthesis of cholesterol by regulating HMG CoA reductase. REF: DM VASUDEVAN TEXTBOOK OF BIOCHEMISTRY, SIXTH EDITION, PG.NO.,153,154.